Resistance to torquing is produced by achieving:
1. Buccal hook
2. Truss effect
3. Lingual hook
4. Proximal hook

Correct answer: 3. Lingual hook